All of the following about 'Red Cross' emblem are true, except:
1. Size of bars in the cross is equal horizontally and vertically
2. Can be used by personnel of United Nations Organization (UNO)
3. Misuse of emblem is punishable offence under Indian Law
4. Was convened in Geneva

Correct answer: 2. Can be used by personnel of United Nations Organization (UNO)

Explanation: The emblem of red cross cannot be used by the personnel of United Nations Organisation. Ref: Park's Textbook of Preventive and Social medicine, 19th Edition, Pages 767-768; International Law and Humanitarian Assistance By Hans-Joachim Heintze, Pages 34-35; The Red Cross By Krista McLuskey, Pages 3-5.